After two doses of vaccination against plague, the immunity will last for -
1. Six months
2. One year
3. Eighteen months
4. Twenty-four months

Correct answer: 1. Six months

Explanation: - the plaque vaccine is killed vaccine. - two doses of 0.5 &1 ml given subcutaneously at interval of 7-14 days. - immunity start 5-7 days after inoculation and lasts for 6 months. Reference : Park's textbook of preventive and social medicine, 23rd edition, pg no:296